Hyponatremia is caused by which anti epileptic drug?
1. Magnesium valproate
2. Phenytoin
3. Carbamazepine
4. Ethosuximide

Correct answer: 3. Carbamazepine

Explanation: (C) Carbamazepine Generic NameAdverse EffectsDrug Interactions* Phenytoin (diphenyl-hydantoin)* Gum hyperplasia; Lymphadenopathy; Hirsutism; Osteomalacia; Facial coarsening; Skin rash* Level increased by isoniazid, sulfonamides, fluoxetine* Level decreased by enzyme-inducing drugs* Altered folate metabolism* Carbamazepine* Aplastic anemia; Leukopenia; Gastrointestinal irritation; Hepatotoxicity; Hyponatremia* Level decreased by enzyme-inducing drugs* Level increased by erythromycin, propoxyphene, isoniazid, cimetidine* Valproic acid* Hepatotoxicity; Thrombocytopenia; Gastrointestinal irritation; Weight gain; Transient alopecia ; Hyperammonemia* Level decreased by enzyme-inducing drugs* Lamotrigine* Skin rash; Stevens-Johnson syndrome* Level decreased by enzyme-inducing drugs and oral contraceptives; Level increased by valproic acid* Ethosuximide* Gastrointestinal irritation; Skin rash; Bone marrow suppression* Level decreased by enzyme-inducing drugs* Level increased by valproic acid* Gabapentin* Gastrointestinal irritation; Weight gain; Edema* No known significant interactions* Topiramate* Renal stones (avoid use with other carbonic anhydrase inhibitors); Glaucoma; Weight loss; Hypohidrosis* Level decreased by enzyme-inducing drugs* Tiagabine* Gastrointestinal irritation* Level decreased by enzyme-inducing drugs* Phenobarbital* Skin rash* Level increased by valproic acid, phenytoin* Primidone * Level increased byvalproic acid, phenytoin* Clonazepam* Anorexia* Level decreased by enzyme-inducing drugs* Felbamate* Aplastic anemia; Hepatic failure; Weight loss;Gastrointestinal irritation* Increases phenytoin, valproic acid, active carbamazepine metabolite* Levetiracetam* Anemia; Leukopenia* No known significantinteractions* Zonisamide* Anorexia; Renal stones Hypohidrosis* Level decreased by enzyme-inducing drugs* Oxcarbazepine* See carbamazepine* Level decreased by enzyme-inducing drugs* May increase phenytoin* Lacosamide* GI irritation; Cardiac conduction* Level decreased by enzyme-inducing drugs* Rufinamide* GI irritation; Leukopenia; Cardiac conduction (QT interval prolongation)* Level decreased by enzyme-inducing drugs* Level increased by valproic acid* May increase phenytoin# Carbamazepine causes SIADH:> The most common dose-related adverse effects of carbamazepine are diplopia and ataxia. Other dose-related complaints include mild gastrointestinal upsets, unsteadiness, and, at much higher doses, drowsiness Hyponatremia and water intoxication have occasionally occurred and may be dose-related. Considerable concern exists regarding the occurrence of idiosyncratic blood dyscrasias with carbamazepine, including fatal cases of aplastic anemia and agranulocytosis. The mild and persistent leukopenia seen in some patients is not necessarily an indication to stop treatment but requires careful monitoring. The most common idiosyncratic reaction is an erythematous skin rash; other responses such as hepatic dysfunction are unusual.